Confirmatory Test for coliform count?
1. Eijkman test
2. Casoni's test
3. Nitrate test
4. Urease test

Correct answer: 1. Eijkman test

Explanation: Eijkman test or Differential coliform test or Confirmed Escherichia coli count is a test used for the identification of coliform bacteria from warm-blooded animals based on the bacteria's ability to produce gas when grown in glucose media at 46degC (114.8degF). The test to determine whether coliform bacteria come from warm-blooded animals. By means of this test it can be readily established if water has been polluted by human and animal defecation containing coli bacilli. The test was introduced by Christiaan Eijkman (1858-1930) in his paper in 1904. Ref: https://en.m.wikipedia.org/wiki/Eijkman_test